Commonest site for osteochondritis dissecans in the elbow is
1. Trochlea
2. Radial head
3. Capitulum
4. Olecranon

Correct answer: 3. Capitulum